Which of the following is not anti fungal drug
1. Ketaconazole
2. Undecylenic acid
3. Ciclopirox
4. Clofazimine

Correct answer: 4. Clofazimine

Explanation: Clofazimine is an anti leprosy drug Other drugs given in the options are anti fungal drugs Refer Goodman6and Gilman 11/e p 1239 KDT 6/e p 752